Bleeding from lesser curvature in gastric ulcer, source of bleeding is?
1. Right gastro -epiploic artery
2. Right omento duodenal
3. Pancreatoduodenal artery
4. Left gastric artery

Correct answer: 4. Left gastric artery

Explanation: Ulcer located along the lesser curve of the stomach and posterior duodenal bulb are at greater risk for severe bleeding and rebleeding due to the proximity of the left gastric artery and gastroduodenal artery, respectively. The mortality rate for bleeding peptic ulcers is approximately 6%-7%.